With the knowledge of anatomy of the pelvis and perineum, which of the following is true regarding collection of urine in urethral rupture above deep )erineal pouch?
1. Medial aspect of thigh
2. Scrotum
3. True pelvis only
4. Anterior abdominal wall

Correct answer: 3. True pelvis only

Explanation: Ans. c. True pelvis only